All of the following are paired except:
1. Interarytenoids
2. Corniculate
3. Vocal cords
4. Cricothyroids

Correct answer: 1. Interarytenoids

Explanation: All intrinsic muscles of larynx are paired except transverse arytenoid/interarytenoid. As far as cartilages of larynx are concerned 3 are paired and 3 are unpaired.